American Rheumatic Heart association criteria includes:
1. Oral ulcer
2. Malar rash
3. Erythema Marginatum
4. Nail telangiectasia

Correct answer: 3. Erythema Marginatum

Explanation: Ans. (c) Erythema MarginatumRef.: Harrison 19th ed. / 2149Revised Jones criteriaA. DiagnosisFor ail patient populations with evidence of preceding gas infectionInitial ARF - 2 Major or 1 major plus 2 minorRecurrent ARF- 2 Major or 1 major and 2 minor or 3 minorB. What are major criteria?Low-risk populationsModerate-and high-risk population* Carditis* Carditis# Clinical and/or subclinical carditis# Clinical and/or subclinical carditis* Arthritis* Arthritis# Polyarthritis only# Monoarthritis or polyarthritis# Polyarthraigia* Chorea* Chorea* Erythema marginatum* Erythema marginatum* Subcutaneous nodules* Subcutaneous nodulesC. What are the minor criteria Low-risk populationsModerate-and high-risk population* Polyarthraigia* Monoarthralgia* Fever (>38.5deg)* Fever(>38degC)* ESR>60 mm in 1st hour and/or CRP >3.0 mg/d* ESR>30 mm/h and /or CRP >3.0* Prolonged PR interval, after accounting for age variability (unless carditis is a major criterion) in all population